Which one of the following is the earliest radiographic manifestation of childhood leukemia?
1. Radiolucent transverse metaphyseal band
2. Diffuse demineralization of bones
3. Osteoblastic lesions in skull
4. Parenchymal pulmonary lesions on chest films

Correct answer: 1. Radiolucent transverse metaphyseal band

Explanation: Metaphyseal translucencies are the earliest and most characteristic features of childhood leukemia